The type of load on teeth that is most destructive to the periodontium is:
1. Vertical
2. Oblique
3. Horizontal
4. Apical

Correct answer: 3. Horizontal